The intra - abdominal pressure laparoscopy should be set between :
1. 5-8 mm of Hg
2. 10 - 15 mm of Hg
3. 20 - 25 mm of Hg
4. 30 - 35 mm of Hg

Correct answer: 2. 10 - 15 mm of Hg

Explanation: 10 - 15 mm of Hg